Vision 2020: Right to sight by WHO targets all except:
1. Cataract
2. Trachoma
3. Epidemic keratoconjunctivitis
4. Oncocerciasis

Correct answer: 3. Epidemic keratoconjunctivitis